All are seen in hypothyroidism except ?
1. Weight gain
2. Cold intolerance
3. Diarrhoea
4. Menorrhgia

Correct answer: 3. Diarrhoea

Explanation: Ans. is 'c' i.e., Diarrhea Diarrhea is a feature of hyperthyroidism. Hypothyroidism o Iodine deficiency is the most common cause of hypothyroidism o In area of iodine sufficiency, autoimmune thyroiditis (Hashimoto's disease) is the most common cause. Clinical features of hypothyroidism Weight gain, poor appetite Bradycardia, RTT Diastolic BP Constipation o Hoarseness of voice o Extreme somonlence Cold intolerance, cool peripheral extremities. Increased cholesterol, phospholips, triglyceride --> Arteriosclerosis. Extreme muscular sluggishness, Paresthesia, delayed tendon reflexes. Hair loss. o Menorrhgia, amenorrhea ---> oligomenorrhea